Most common cause of acute epididymitis in young males
1. Chlamydia
2. E Coli
3. N. Gonorrhoea
4. Proteus

Correct answer: 1. Chlamydia

Explanation: Young males most common organism is chlamydia
Age > 40 most common organism is E Coli